During cardiac imaging the phase of minimum motion of heart is:
1. Late systole
2. Mid systole
3. Late diastole
4. Mid diastole

Correct answer: 4. Mid diastole

Explanation: D i.e. Mid diastole- During cardiac imaging (such as MRI, CT, electron beam tomography), mid diastolic phase (or diastasis) of cardiac cycle is usually (but not always) associated with lowest (minimum) mean motion of heart.Q- Optimum phase (i.e. with minimum cardiac motion) for cardiac and coronary vessel imaging is mid-diastole (diastasis) at low or intermediate heart rates; but is variable and may occur in late systole at high heart rates.Cardiac Motion and Imaging- Radiological imaging by CT and MRI can detect coronary artery disease in early stage. However, the use of these tools to cardiac imaging is severely limited because of motion artifacts produced by constantly in motion heart completing an entire cycle of contraction and relaxation in about 1 second.- So radiological cardiac imaging requires a 'window' of minimum cardiac motion to reduce motion artifacts and achieve meaningful images. The phase of minimum cardiac motion is although variable and depends on several factors especially heart rate and the chamber (i.e. right /left - atrium or ventricle) to be specifically imaged. However, the phase of minimum cardiac motion (= optimum phase for cardiac & coronary vessel imaging).